Which is not a feature of cerebral malaria ?
1. Focal neurologic deficit
2. Retinal haemorrhages
3. Extensor plantar reflex
4. Absent abdominal relfex

Correct answer: 1. Focal neurologic deficit

Explanation: Answer- A. Focal neurologic deficitFocal reurological signs are unusual. Deep tendon reflexes are normal, increased or decreased.Corneal reflex is preserved, except in deep coma. Abdominal reflexes are invariably absent. Cremesteric reflex is often preserved.Extensor plantar response occurs in half of the patients.